Intermediate host for hydatid disease:
1. Man
2. Dog
3. Cat
4. Foxes

Correct answer: 1. Man

Explanation: Man